Iron absorption from intestine is regulated by:
1. Acid secretion in stomach
2. Reducing substances in food
3. Mucosal block in the intestinal cells in according to iron requirement
4. Alkaline medium in small intestine

Correct answer: 3. Mucosal block in the intestinal cells in according to iron requirement

Explanation: Ans: cRef: Park, 17th ed, p. 423 & 18th ed, p. 449, 450